Magistrate inquest is done in all the following cases except
1. Exhumation
2. Homicide
3. Lock up death
4. Alleged dowry death

Correct answer: 2. Homicide

Explanation: Special Magistrate's inquest are held in cases of:* Lock-up deaths* Deaths while under police interrogation* Deaths in prison* Deaths in police custody* Deaths due to police firing* Exhumation* Alleged dowry death